Management of stage IIB cancer cervix is?
1. Radiotherapy
2. Radiotherapy with combination with chemotherapy
3. Chemotherapy
4. Hysterectomy

Correct answer: 2. Radiotherapy with combination with chemotherapy

Explanation: ANSWER: (B) Radiotherapy with combination with chemotherapyREF: Shaw's 13th ed p. 390TRETMENT OF CERVICAL CANCER:StageTreatmentIA1Cone or simple hysterectomy with life long follow upIA2 , IB , HaRadical hysterectomy with b/1 pelvic lymphadenectomy (wetheim s operation schauta's radical vaginal hysterectomy , mitra s modification )IIB , III, IVRadiation with or without chemotherapy